Pyogenic infection and braininfraction are associated with
1. Coagulative necrosis
2. Liquefactive necrosis
3. Caseous necrosis
4. Fat necrosis

Correct answer: 2. Liquefactive necrosis

Explanation: Ref, Robbins 9/ep43